A 20 year old man complains of difficulty in reading the newspaper with his right eye, three weeks after sustaining a gun shot injury to his left eye. The most likely diagnosis is:
1. Macular edema
2. Sympathetic ophthalmia
3. Optic nerve avulsion
4. Delayed viterous hemorrhage

Correct answer: 2. Sympathetic ophthalmia

Explanation: B i.e. Sympathetic opthalmitis